According to pughs classification moderate to severe hepatic insufficiency is managed by
1. Sclerotherapy
2. Conservative
3. Orthotopic liver transplantation
4. Shunt surgery

Correct answer: 3. Orthotopic liver transplantation

Explanation: Patient of cirrhosis with variceal bleeding or ascites can be controlled by shunt surgery only if he falls in CTP class A or B Moderate to severe grade liver insufficiency can only be managed by liver transplantation Ref: Sabiston 20th edition Pgno : 1436